True about Moorens ulcer:
1. Painless condition
2. Affects cornea
3. Sudden loss of vision
4. Bilateral in majority of cases

Correct answer: 2. Affects cornea

Explanation: Ans. B: Affects cornea Mooren's ulcer is a rare, painful, inflammatory condition affecting one or both eyes that results in the destruction of corneal tissue. The cause of Mooren's ulcer is unknown. It is generally agreed that it is an autoimmune condition. Pain is almost always associated with the onset of Mooren's ulcer. One or both eyes may be involved at either the same time or one following the other. Approximately two thirds of cases affect one eye only. Mooren's ulcer is more common in men than women. Damage begins at the edge of the cornea and may progress to involve the central cornea. A serious complication of Mooren's ulcer is formation of a perforation or hole, in the cornea. Conditions that can cause similar eye problems are rheumatoid arthritis, systemic lupus erythematosus and Wegener's granulomatosis.